In a patient with acoustic neuroma, all are seen except
1. Facial nerve may be involved
2. Reduced corneal reflex
3. Cerebellar signs
4. Acute episode of vertigo

Correct answer: 4. Acute episode of vertigo

Explanation: Clinical features: Progressive unilateral sensory neural healing loss often accompanied by tinnitus. Vestibular symptoms seen are unsteadiness and rarely vertigo. Cranial nerve involvement: Vth cranial nerve: Reduced corneal sensitivity, numbness or paraesthesia of face. VIIth nerve: Hypoesthesia of posterior metal wall, loss if taste and reduced lacrimation. IX and X nerves: Dysphagia and hoarseness due to palatial, pharyngeal and laryngeal paralysis. XI and XII, III, IV and VI are affected. Brainstem involvement: Ataxia, weakness and numbness of the arms and legs with exaggerated tendon reflexes. Cerebellar involvement: Pressure symptoms. Finger-nose test, knee heel test, dysdiadochokinesia, ataxia gait and inability to walk along a straight line with the tendency to fall to the affected side. Raised intracranial tension: Headache, nausea, vomiting, diploma, papilloedema. Ref: Textbook of diseases of ENT, PL Dhingra, 7th edition, pg no. 125